All of the following are indirect radiologic signs of the collapse of lung EXCEPT –
1. Mediastinal displacement
2. Hilar displacement
3. Compensatory hyperinflation
4. Loss of aeration

Correct answer: 4. Loss of aeration

Explanation: Loss of aeration is a direct sign of lung collapse.
Other three options are indirect signs of lung collapse.